Father has a blood group B ; Mother has AB ; Children are not likely to have the following blood group:
1. O
2. A
3. B
4. AB

Correct answer: 1. O

Explanation: Answer is A (Blood group O) : There is just no way that children might have blood group 0. The answer is obvious so please excuse me on in explanation to this one.